Young lady comes with mild erosion of cervix & pap smear shows dysplasia, next step is :
1. Antibiotics
2. Colposcopy
3. Cryosurgery
4. Conization

Correct answer: 2. Colposcopy

Explanation: Ans. is b i.e. Colposcopy A young lady is presenting with erosion which on cytology shows dysplasia. Now what will be the next step : Friends, here first of all it is important to know that erosion (ectopy) : is a condition in which the squamous covering of the vaginal aspect of the cervix is replaced by columnar epithelium lining the ondocervix It appears as a bright red area continuous with the endocervix and with a clearly defined outer edge. It often bleeds on touch and has to distinguished from carcinoma, tuberculosis, syphilitic and other ulcers of the cervix. "Although a cervical smear may be helpful. the distinction may not be possible except by colposcopy or biopsy". Jeffcoate 7/e, p 411 Here in the question : Pap smear has already been done and it shows dysplasia which should be confirmed by colposcopy. Extra Edge : Management of cervical erosion : If it is detected during pregnancy treatment should be deferred for atleast 12 weeks postpartum. Management : - Thermal cauterizations - Cryosurgerydeg - Laser vaporisationdeg Aim : To destroy columnar epithelium so that on healing it is replaced by squamous epithelium.